Which of the following is predisposing factor for papillary carcinoma of thyroid?
1. Irradiation
2. Thyroglossal cyst
3. Hashimoto’s thyroiditis
4. All of the above

Correct answer: 4. All of the above